Byssinosis is seen in:
1. Cement factories
2. Textile industries
3. Iron factories
4. Grain fields

Correct answer: 2. Textile industries

Explanation: Textile industries